Average hospital waste produced per bed per day in Government hospital-
1. 1.5-2.0 kg
2. 0.5-4 kg
3. 0.5-1 kg
4. 0.5-2 kg

Correct answer: 2. 0.5-4 kg

Explanation: - according to survey done in Bangalore, the quantity of solid waste generated in government hospitals is half to four kilograms per bed per day. Reference : Park's textbook of preventive and social medicine, 23rd edition, pg no:790